The normal plasma osmolality (mOsmol/kg) is
1. 240-255
2. 260-275
3. 285-295
4. 300-312

Correct answer: 3. 285-295

Explanation: Normal human reference range of osmolality in plasma is about 285-295 milli-osmoles per kilogram.Ref: Ganong's review of medical physiology; 24th edition; page no; 310